The most common malignant neoplasm of infancy is -
1. Malignant teratoma
2. Neuroblastoma
3. Wilms' tumor
4. Hepatoblastoma

Correct answer: 2. Neuroblastoma

Explanation: Robbins basic pathology. 7th edition. page no. 500. Chapter diseases of infancy and childhood. Neuroblastoma is the second most common solid malignancy after brain tumours. It accounted as much as 50% of neonatal malignancies.